Slow growing tumor of skin which rarely metastasise to lymphnodes is:
1. Melanoma
2. Sq cell ca
3. Basal cell ca
4. Angiosarcoma

Correct answer: 3. Basal cell ca

Explanation: Ans: c (Basal cell Ca) Ref: Robbins, 7th ed, p. 1242Basal cell Ca is a slow growing tumour of skin which rarely metastasize to lymph node.Basal cell carcinoma ,Most common skin cancer and associated with UV radiation.Most common site is inner canthus of the eye.Ulcerated lesions are the most common type with presence of raised rolled edges.Dissemination by lymphatics and blood stream does not occurVery slow growing and painless.Most common low grade malignancy of head and neck region.Diagnosis is by wedge biopsyTreatment - very radiosensitive/electrodessication/cauteryRisk factors include: -White races-UV radiation-Arsenic exposureSQUAMOUS CELL CARCINOMAConsists of 20% of all skin cancersIt is the tumour of epidermal keratinocytes and occurs in sun exposed areas.Regional lymph nodes are most common site of metastasis.Fast growing than BCC and painless.More malignant when compared to BCC.Single most common cause- SunlightTreatment- Surgical excision and radiotherapy for head & neck carcinomas.